All of the following is used in treatment of women having stress incontinence associated with intrinsic sphincter deficiency, except
1. Pubovaginal slings
2. Urethral bulking agent injection
3. Tension - free vaginal tape
4. Needle suspension procedures

Correct answer: 4. Needle suspension procedures

Explanation: Needle suspension is where proximal urethra is suspended by anterior abdominal wall.
It has low long - term success rates, so no longer recommended.